Following tests are done for assessing fetal lung maturity. Which of the following test results DOES NOT indicate adequate fetal lung maturity?
1. Foam stability index greater than 47
2. Presence of phosphatidylglycerol
3. Lecithin/sphingomyelin ratio less than 2
4. All of the above

Correct answer: 3. Lecithin/sphingomyelin ratio less than 2

Explanation: Lecithin/sphingomyelin ratio greater than 2 indicate adequate fetal lung maturity. Before 34 weeks, lecithin and sphingomyelin are present in amniotic fluid in similar concentrations. At 32 to 34 weeks, the concentration of lecithin relative to sphingomyelin begins to rise. Lecithin/sphingomyelin ratio less than 2 indicates respiratory distress. Other tests used to detect fetal lung maturity are: Presence of phosphatidylglycerol Fluorescence Polarization assay Foam stability test Amnionic fluid absorbance at 650-nm wavelength Lamellar body count Ref: Cunningham F.G., Leveno K.J., Bloom S.L., Hauth J.C., Rouse D.J., Spong C.Y. (2010). Chapter 29. Diseases and Injuries of the Fetus and Newborn.